Which of the following is not a component of cell rich zone
1. Collagen Type 1
2. Collagen type 3
3. Collagen type 5
4. Stem cells

Correct answer: 3. Collagen type 5

Explanation: Collagen fibers type 1 and type 3 are present in cell rich zone while type 5 is absent.